Causative organism for Molluscum contagiosum belongs to which virus family?
1. Adenovirus
2. Pox virus
3. Picorna virus
4. Rhabdovirus

Correct answer: 2. Pox virus